First sign of optic nerve disease is-
1. Papilloedema
2. Colour blindness
3. Afferent pupillary defect
4. Efferent pupillary defect

Correct answer: 3. Afferent pupillary defect

Explanation: Marcuss Gunn pupil or RAPD (relative afferent papillary defect) is the earliest indication of optic nerve disease even in presence of normal visual acuity.